Gastric lavage is contraindicated in poisoning with:
1. Kerosene
2. Morphine
3. Barbiturates
4. Dhatura

Correct answer: 1. Kerosene

Explanation: Ans. A (Kerosene) Gastric lavage is C/1 in kerosene poisoning"Gastric evacuation for pure petroleum distillate or turpentine ingestion is not recommended Q " - Reddy 27th/522Gastric Lavage (G. L) - C/I or Precautions# The only absolute C/1 for G.L. is corrosive poisoning" (except carbolic acid j, owing to the danger of perforation# In following conditions - stomach wash can be done by taking proper precautionsi Convulsantpoisons"- As it may lead to convulsion, lavage should be done after controlling convulsionii. Comatose patientv - There is risk of aspiration of fluid into the air passage. The airway should be sealed by cuffed endotracheal tube(8 to 9 no.) & then lavage doneiii. Volatile poison ' - Which may be inhaledUpper alimentary" disease - Like oesophageal variesIn patient with marked hypothermia & haemorrhagic diasthesisGastric Lavage# It is useful any time within 3hr after ingestion of poison (Reddy)# It is life saving if undertaken within 4-6 hr after ingestion of poison (Parikh)GL most effective if done within 2-3 hr after ingestion of poison (modi)In case of irritent poison, the stomach should be passed with caution (modi)As poisoning - "Stomach should be repeatedly washed by warm water & milk" (Reddy 27th/473)Morphine poisoning - Wash stomach with 1: 5000 solution of KMn04" (Reddy 2 7th/516)Datura poisoning - "Wash stomach repeatedly with a weak solution of tannic acid" (Reddy 2 7th/533)Organophosphorus poisoning - "Stomach should be washed with 1 : 5000 KMnO4 solution"(Reddy 27th/459)